Most common pancreatic neoplasm in MEN I -
1. Gastrinoma
2. Insulinoma
3. Somatostatinoma
4. Glucagonoma

Correct answer: 1. Gastrinoma